Radiological Signs of Acute Pancreatitis include the following except
1. Colon cut-off sign
2. Murphy sign
3. Renal halo sign
4. Sentinel loop sign

Correct answer: 2. Murphy sign

Explanation: Murphy sign A positive Murphy's sign is seen in acute cholecystitis. It is elicited by firmly placing a hand at the costal margin in the right upper abdominal quadrant and asking the patient to breathe deeply. Ref ganong's review of medical physiology 25e p762